Shrinking lung/ kidney is seen in:
1. Scleroderma
2. Rheumatoid arthritis
3. SLE
4. Dermatomyositis

Correct answer: 3. SLE

Explanation: Ans: C i.e. SLEPulmonary manifestations of conditionsRespiratory complication of systemic sclerosis/ scleroderma includes Bronchiectasis, pulmonary fibrosis and cutaneous thoracic restriction (hidebound chest)Respiratory complications of RA includes bronchitis, Bronchiectasis, pulmonary fibrosis, pleurisy and poor healing of intercostals drain sitesChest X-rays in SLE reveals elevated diaphragms, and pulmonary function testing shows reduced lung volumes. This condition has been described as 'shrinking lungs' and attributed to diaphragmatic myopathyRespiratory complications of dermatomyositis includes bronchial carcinoma, pulmonary fibrosis and intercostals and diaphragmatic myopathy.